A 51-year-old man has noted right hip pain for the past 3 months. On physical examination he has diminished range of motion of the right hip. A radiograph reveals a 10 x 13 cm mass involving the right ischium of the pelvis. The mass has irregular borders and there are extensive areas of bony destruction along with some scattered calcifications. The lesion is resected, and grossly the mass has a bluish-white cut surface. Which of the following attributes is most likely to describe this mass?
1. The most frequent primary tumor of bone
2. Usually seen in distal skeletal bones
3. More common in females
4. Sometimes seen to arise in benign cartilagenous tumors

Correct answer: 4. Sometimes seen to arise in benign cartilagenous tumors

Explanation: Though probably a sporadic occurrence in the case desccribed here, chondrosarcomas can occur in association with osteochondromatosis.
Incorrect 1. Osteosarcoma is the most frequent primary malignancy of bone, not chondrosarcoma.
Incorrect 2. Distal cartilagenous tumors are more likely to be benign, whereas those in a central location are virtually always malignant.
Incorrect 3. Primary malignancies of bone, including chondrosarcoma, are more common in males.